Which of the following is NOT a branch of intracranial part of Internal carotid artery?
1. Anterior communicating
2. Anterior cerebral
3. Middle cerebral
4. Posterior communinating

Correct answer: 1. Anterior communicating

Explanation: Anterior communicating artery is a branch of anterior cerebral artery. The branches of intracranial part of internal carotid artery are: Ophthalmic artery Anterior cerebral artery Middle cerebral artery Posterior communicating artery Anterior choroidal artery (Ref: Vishram Singh textbook of clinical neuroanatomy, second edition pg 176, table 15.1)